Tzank cell is:
1. Neutrophil
2. Lymphocyte
3. Fibroblast
4. Keratinocytes

Correct answer: 4. Keratinocytes

Explanation: Tzanck cells are acantholytic cell or acanthocytes formed due to separation of keratinocytes due to defect in desmosomes. Characterstic on tzank smear Acanthocytes Multinucleate Giant cells Dyskeratotic Keratinocyte Necrotic Keratinocyte Examples Pemphigus -Herpes -Chicken pox -Darier's disease -SJS/TEN